All of the following hepatitis virus can be transmitted through blood except:
1. Hepatitis B
2. Hepatitis C
3. Hepatitis D
4. Hepatitis E

Correct answer: 4. Hepatitis E

Explanation: Ans. d. Hepatitis E